Which of the following is Not associated with thymoma?
1. Hypogammaglobinemia
2. Myasthenia gravis
3. Polymyositis
4. SIADH

Correct answer: 4. SIADH

Explanation: Thymoma is the commenest anterior mediastinal tumor which causes symptoms due to compression on the mediastinal structures. It is associated with the following paraneoplastic syndromes:
• Myasthenia gravis (most common)
• Acquired hypogammaglobulinemia
• Pure red cell aplasia
• Graves disease
• Pernicious anemia
• Dermatomyositis-polymyositis
• Cushing syndrome.